Which of the following statements about 'Late expanding phase' of Demographic cycle is true
1. Birth rate is lower than death rate
2. Death rate declines more than birth rate
3. Death rate begins to decline while birth rate remains unchanged
4. High death rate and high birth rate

Correct answer: 2. Death rate declines more than birth rate

Explanation: Death rate declines still further and the birth rate tend to fall in third stage of demographic cycle or late expanding stage, but the population continue to grow as births exceeds death.